The current mode of analgesia best for intrapartum pain relief
1. Epidural analgesia
2. Spinal anaesthesia
3. Inhalational
4. Local analgesia

Correct answer: 1. Epidural analgesia

Explanation: Continous lumbar epidural analgesia is the procedure of choice for pain relief during normal labour and vaginal delivery (Intrapartum pain)(Refer: Morgan and Mikhail's Clinical Anaesthesiology, 5th edition, pg no.953-960 )